IOC for acute appendicitis in children
1. USG
2. MRI
3. CECT
4. X ray

Correct answer: 1. USG